In which of the following Gynecological condition intravenous urography is wise to perform
1. Endometriosis
2. Bicornuate uterus
3. Adenomyosis
4. Uterine polyp

Correct answer: 2. Bicornuate uterus

Explanation: Renal tract anomalies coexist with Mullerian duct anomalies. Hence it is every case of congenital malformation of genital tract, it is wise to perform IVU to exclude urinary tract abnormalities.